All are used for the treatment of Pulmonary hypertension except
1. Endothelin receptor antagonist
2. Phosphodiesterase inhibitors
3. Calcium channel blockers
4. Beta blockers

Correct answer: 4. Beta blockers

Explanation: Refer kDT 6/e p 297 Vasodilators are used for the treatment of Pulmonary hypertension. Treatments include: endothelin receptor antagonists - such as bosentan, ambrisentan and macitentan phosphodiesterase 5 inhibitors - sildenafil and tadalafil prostaglandins - epoprostenol, iloprost and treprostinil soluble guanylate cyclase stimulators - such as riociguat calcium channel blockers - nifedipine, diltiazem, nicardipine and amlodipine